Which of the following drug induces parkinsonism?
1. Chlorpheniramine
2. Chlorpromazine
3. Chloroquine
4. Chlorhexidine

Correct answer: 2. Chlorpromazine